Which of the following is an indication for the use of folinic acid?
1. Prophylaxis of neural tube defects in the offspring of women receiving anticonvulsant medications
2. Counteracting toxicity of high dose methotrexate therapy
3. Pernicious anemia
4. Anemia associated with renal failure

Correct answer: 2. Counteracting toxicity of high dose methotrexate therapy

Explanation: Prophylaxis of neural tube defects require treatment with folic acid. Methotrexate toxicity can be prevented by 5'-formyltetrahydrofolate (folinic acid). Pernicious anemia requires the therapy with vitamin B12. Anemia associated with chronic renal failure is treated with erythropoietin.